The TRUE statement about B cell Prolymphocytic leukemia is:
1. The median age is 40
2. Generalised lymphadenopathy is the presenting symptom
3. The cell express surface IgM and CD19,20,22
4. Splenectomy improves the survival

Correct answer: 3. The cell express surface IgM and CD19,20,22

Explanation: B Cell Prolymphocytic Leukemia Malignancy of medium-sized, round lymphocytes with a prominent nucleolus and light blue cytoplasm It usually does not cause adenopathy. The median age of patients is 70 years The clinical course can be rapid. The cells express surface IgM and B cell markers (CD19, CD20, CD22). CD23 is absent. Fludarabine and cladribine and combination chemotherapy (cyclophosphamide, doxorubicin, vincristine, prednisone, or CHOP) are effective. Splenectomy can produce palliation of symptoms but little impact on the course of the disease. Ref: Harrison, E-18, e-21.